Hyperprolactinemia is a side effect of-
1. Bromocriptine
2. Levodopa
3. Amantadine
4. Metoclopramide

Correct answer: 4. Metoclopramide

Explanation: Ans. is 'd' i.e., Metoclopramide